Spleen is supported by all of the following except:
1. Phrenicocolic ligament
2. Gastrosplenic ligament
3. Lineorenal ligament
4. Ligamentum teres

Correct answer: 4. Ligamentum teres

Explanation: The spleen is the largest single mass of lymphoid tissue in the body.It lies just beneath the left half of the diaphragm close to the 9th, 10th, and 11th ribs.The long axis lies along the shaft of the 10th rib, and its lower pole extends forward only as far as the midaxillary line. The spleen is surrounded by peritoneum which passes from it at the hilum as the gastrosplenic omentum (ligament) to the greater curvature of the stomach (carrying the short gastric and left gastroepiploic vessels).The peritoneum also passes to the left kidney as the splenicorenal/lineorenal ligament (carrying the splenic vessels and the tail of the pancreas).Phrenicocolic ligament is not attached to the spleen but supports its anterior endLigamentum teres is related with the liver and represents the obliterated left umbilical vein